Is a water washed disease
1. Malaria
2. Scabies
3. Tsunami
4. Leptospirosis

Correct answer: 2. Scabies